The effective temperature of the 'comfort zone' is-
1. 69-76 o F
2. 77-80 oF
3. 83-85 oF
4. 86-90 oF

Correct answer: 2. 77-80 oF

Explanation: Comfort zones: In deg C of corrected effective temperature Pleasant and cool 20 Comfortable and cool 20-25 Comfortable 25- 27 (77-80F) Hot and uncomfortable 27-28 Extremely hot 28+ Intolerably hot 30+. Park's Textbook of Preventive and Social Medicine, 25th Edition, Pg 792